Which is true regarding post-streptococcal glomerulonephritis?
1. Renal biopsy is indicated in severe renal dysfunction
2. Microscopic hematuria resolves within 2 weeks
3. Serum C3 levels are normal
4. Serum triglyceride levels are elevated

Correct answer: 1. Renal biopsy is indicated in severe renal dysfunction

Explanation: Renal biopsy in P.S.G.N should be considered only in- 1. Presence of acute renal failure 2. Absence of evidence of streptococcal infections or normal complement levels 3. When hematuria and proteinuria leads to diminished renal function 4. Low C3 levels persist more than 2 months In the first week of symptoms 90% of patients will have a decreased levels of C3 with normal levels of C4 Resolution of the hematuria and proteinuria occurs within 3-6 weeks of the onset of nephritis Serum triglyceride levels are increased in nephrotic syndrome, not in nephritis